Bulbocavernosus reflex is elicited by A/E -
1. Glans pens
2. Clitoris
3. Tug of foley catheter
4. Perianal

Correct answer: 4. Perianal

Explanation: The bulbocavernosus reflex is a spinal reflex. It is tested by application of digital pressure on the glans penis or clitoris or gently pulling on the foley catheter to cause reflex anal sphinctor contraction.
Absence of this reflex indicates spinal shock and return of this reflex is the first sign of recovery from spinal shock.